Which structure passes through foramen of langer?
1. Spermatic cord
2. 5th cranial nerve
3. 4th cranial nerve
4. Tail of Spence

Correct answer: 4. Tail of Spence

Explanation: Ans. D. Tail of SpenceThe tail of Spence is an extension of the tissue of the breast that extends into the axilla. It is actually an extension of the upper lateral quadrant of the breast. It passes into the axilla through an opening in the deep fascia called foramen of Langer.